The following features are true for tetralogy of Fallot, except
1. Ventricular septal defect
2. Right ventricular hypertrophy
3. Atrial septal defect
4. Pulmonary stenosis

Correct answer: 3. Atrial septal defect

Explanation: Tetrology of fallot characterized by right ventricular outflow obstruction( pulmonary stenosis),right ventricular hypertrophy,VSD,aorta that override the VSD. Ref : Ghai essential of pediatrics, 8th edition, p.no:420 ; Harrison principals of internal medicine,19th edition,p.no:1526